Recommended transport medium for stool specimen suspected to contain enteric pathogens is ?
1. Arnie's medium
2. Buffered glycerol saline medium
3. MacConkey medium
4. All

Correct answer: 2. Buffered glycerol saline medium

Explanation: Ans. is 'b' i.e., Buffered glyceral saline medium . Following transport medium are used for stool specimen :- Cary Blair medium, buffered glycerol saline or Stuart medium.